What is Treatment resistant schizophrenia(TRS)?
1. Lack of response to 1 antipsychotic at adequate dose for 4 weeks
2. Lack of response to 2 different antipsychotics at adequate dose for 4 weeks
3. Lack of response to 1 antipsychotic at adequate dose for 10 weeks
4. Lack of response to 2 same antipsychotics at adequate dose for 4 weeks

Correct answer: 2. Lack of response to 2 different antipsychotics at adequate dose for 4 weeks

Explanation: TREATMENT RESISTANT SCHIZOPHRENIA is a concept that was introduced in the management of patient of patient with schizophrenia treatment resistant schizophrenia means that the patient has failedon 2 anti psychotics for adequate dosage and adequate duration the main drug that is used in patients with treatment resistant schizophrenia is CLOZAPINE initially clozapine was introduced for all patient with psychosis then it was found that it resulted in adverse effects like AGRANULOCYTOSIS AND MYOCARDITIS after this side effect was found the drug was withdrawn from the market later the drug was reintroduced for the treatment of treatment resitant schizophrenia patients